Local anaesthetics :
1. Block the release of neurotransmitters
2. Block the influx of sodium into the cell
3. Increase the release of inhibitory neurotransmitters
4. Inhibit the efflux of sodium from neurons

Correct answer: 2. Block the influx of sodium into the cell